Seibert’s class II defect is:
1. Faciolingual loss of tissues with normal ridge height
2. Normal ridge width with loss of ridge height
3. Loss of height and width
4. None of the above

Correct answer: 2. Normal ridge width with loss of ridge height

Explanation: Seibert’s Classification
Class 0 defects - No defect.
Class I defects - Faciolingual loss of tissue width with normal ridge height.
Class II defects - Loss of ridge height with normal ridge width.
Class III defects - A combination of loss in both dimensions.